Tobacco amblyopia is due to:
1. Cyanide
2. Nicotine
3. Dinitrobenzene
4. Carbon disulphide

Correct answer: 1. Cyanide

Explanation: Ans: a (Cyanide) Ref: AK Khurana, 3 ed, p. 282; 4th ed, p. 296Tobacco amblyopia is due to cyanide.Tobacco amblyopiaEtiology:Heavy smokers, heavy drinkers & a diet deficient in proteins & vitamin B12C/F:B/L gradually progressive loss of visionB/L centrocaecal scotomaBRIDGE Photoretinitis is due to Infrared raysSnow blindness & photoophthalmia are due to UV rayFundus examination: Temporal pallor of optic disc/ normal optic discExcessive tobacco smoking: Decrease cyanide detoxification due to deficiency of sulphur rich proteinsExcess cyanide in blood - degeneration of ganglion cells - degeneration of papillomacular nerve bundle-atoxic amblyopiaTreatment:1. Cessation of smoking2. Inj. Hydroxycobalamine 1000 ug IM weekly for 10 weeks3. Health care & nutritionCauses of centrocaecal scotoma:Ring scotoma;Lebers ischemic optic neuropathyVitB12 deficiencyTobacco amblyopiaMyopiaRetinitis pigmentosaPrimary open angle glaucomaPapilltisSarcoidosisLeukaemiaTubular vision;Retinitis pigmentosaPOAGCentral scotoma:Relative positive scotoma:RB neuritisEthambutolMacular hole; cyst degenerationCentral serous retinopathyPhotoretinitis